Inclusion body present in psittacosis is called:
1. HP body
2. Miyagawa corpuscles
3. Levinthalcole Lillie
4. Henderson Peterson

Correct answer: 3. Levinthalcole Lillie

Explanation: Inclusion body in case of psittacosis is Levinthalcole Lillie. HP body:-seen in case of trachoma Miyagawa corpuscles:-LGV Henderson Peterson:-molluscum contagiosum